Which one of the following is not a cause for restrictive cardiomyopathy -
1. Alcohol
2. Hemochromatosis
3. Amyloidosis
4. sarcoidosis

Correct answer: 1. Alcohol